Oral factor Xa inhibitor is:-
1. Dabigatran etexilate
2. Rivaroxaban
3. Fondaparinux
4. Bivalirudin

Correct answer: 2. Rivaroxaban

Explanation: Option A: DABIGATRAM- THROMBIN inhibitor Option B: RIVAROXABAN- Xa inhibitor Option C: FONDAPARINUX: Ultra LMWH Option D :BIVALIRUDIN is a direct thrombin inhibitor